Migrating motor complex is due to which GI hormone-
1. Gastrin
2. Motilin
3. CCK
4. VIP

Correct answer: 2. Motilin

Explanation: Ans. is 'b' Le., Motilin Migratory motor complex (MMC)o The gastric antrum shows bursts of propulsive (peristalitic) muscular activity every 90 minutes. The activity is conducted along the entire length of the small intestine, from stomach to distal ileum, at a rate of about 5 cm per minute. As soon as the activity reaches the terminal ileum, a new wave begins in the stomach. The purpose of MMC is to clear the stomach and small intestine of luminal contents in preparation for the next meal. The MMCs are initiated by motilin.